Integrated Management of Childhood Illness (IMCI) was taken to prevent morbidity and mortality from all except:
1. Malaria
2. Malnutrition
3. Otitis media
4. Neonatal tetanus

Correct answer: 4. Neonatal tetanus

Explanation: INTERGRATED MANAGEMENT OF CHILDHOOD ILLNESS (IMCI): IMCI is a 'strategy for reducing morbidity and mortality associated with major causes of childhood illness' Curative component includes management of: Diarrhoea Measles (&otitis media) Pneumonia Malaria Malnutrition